For posterior urethral valve- Investigation of choice is
1. Cyotoscopy
2. MCU
3. Cystourethroscopy
4. Retrograde urethroscopy

Correct answer: 2. MCU

Explanation: Ans. is 'b' ie MCU " The most reliable method to confirm the diagnosis of posterior urethral valves is voiding cystourethrography that means radiographs are taken during the act of micturition after the bladder has been filled with the contrast media"Posterior Urethral ValvesSeen only in males*these are symmetrical folds of urothelium, usually found just distal to the verumontanum*, but they may be within the prostatic urethra also.they behave as flop valves so, although urine does not flow normally, a urethral catherter can be passed without difficulty.t/t- transurethral resection of the valves in done